Once a case is completed between two parties, it cannot be tried again under the defence,
1. Res indicata
2. Res judicata
3. Composite negligence
4. Corporate negligence

Correct answer: 2. Res judicata

Explanation: Res judicata means 'the things have been decided': according to this rule, once a case is completed between two parties, it cannot be tried again. For example, a patient sues a doctor in a negligence case and things are decided; he cannot sue the doctor again in the same case. Ref: FORENSIC MEDICINE AND TOXICOLOGY Dr PC IGNATIUS THIRD EDITION PAGE 383